At what angle is hallpike thermal caloric test done -
1. 15°
2. 30°
3. 45°
4. 60°

Correct answer: 2. 30°